The windswept deformity is seen in-
1. Achondroplasia
2. Ankylosing spondylitis
3. Rickets
4. Scurvy

Correct answer: 3. Rickets

Explanation: Windswept deformity is seen in rickets.

Also know

The windswept deformity is also seen in RA, physical osteochondromatosis, and hereditary dysplasia (epiphyseal dysplasia).